Which of the following is used for wound infection grading system?
1. ASA classification
2. Glassgow scale
3. Southampton grading
4. APGAR score

Correct answer: 3. Southampton grading

Explanation: Ans. (c) Southampton Grading(Ref: Bailey and Love 26th edition Page 54)* There are scoring systems for the severity of wound infection, which are particularly useful in surveillance and research.* Examples are the Southampton and ASEPSIS systems.